True about normal sperm count:
1. 60-100 lakh/mm3
2. 4-5 million/mm3
3. 60-120 lakh/mm3
4. 60-120 million/mL

Correct answer: 4. 60-120 million/mL

Explanation: Ans. is d, i.e. 60-120million/mL.Normal values are:Volume 2-6mLpH = Alkaline =7.2-7.8Liquefaction within half an hourCount: 15-200millionpermLMobility and motility 60% progressive forward motilityMorphology 60% normal forms